Cold caloric test stimulates -
1. Cochlea
2. Lateral semi circular canal
3. Posterior semicircular canal
4. All

Correct answer: 2. Lateral semi circular canal

Explanation: Caloric Tests: Important points

Principle: to induce nystagmus by thermal stimulation of vestibular system.
Lateral semicircular canalQ is commonly tested by all these tests
There are 3 methods of performing these tests: